Which electrical event is characteristic of inhibitory synaptic interactions?
1. A neurotransmitter agent that selectively opens ligand-gated chloride channels is the basis for an inhibitory postsynaptic potential
2. Because the Nernst potential for chloride is about -70 mV, chloride ions tend to move out of the cell along its electrochemical gradient
3. A neurotransmitter that selectively opens potassium channels will allow potassium to move into the cell
4. An increase in the extracellular sodium concentration usually leads directly to an inhibitory postsynaptic potential

Correct answer: 1. A neurotransmitter agent that selectively opens ligand-gated chloride channels is the basis for an inhibitory postsynaptic potential

Explanation: IPSP: Inhibitory Postsynaptic Potential The opening of ligand-gated chloride channels and movement of chloride ions into the cell leads to hyperpolarization of the membrane. Neither increasing the extracellular sodium concentration nor the movement of potassium into the cell leads to hyperpolarization of the membrane. IPSP results in hyperpolarization of membrane. Glycine, GABA are the neurotransmitters involved.